The vaccine not to be given during pregnancy is
1. MMR
2. Rabies
3. Hepatitis B
4. Diphtheria

Correct answer: 1. MMR

Explanation: MMR Live vaccines are contraindicated during pregnancy unless the risk of infection exceeds the risk of harm to the fetus of some live vaccines. MMR (all 3 components) is live (attenuated) vaccine Contraindication to vaccines Vaccine Contraindication All An anaphylactic reaction Live vaccines (MMR, BCG, Yellow fever) Pregnancy Radiation therapy Yellow fever Egg allergy. immunodeficiency BCG Symptomatic HIV infection Influenza, yellow fever H/O anaphylactic reactions following egg ingestion Peussis-containing Anaphylactic reaction to previous dose, evolving neurological disease